The technique employed in radiotherapy to counteract the effect of tumour motion due to breathing is known as:
1. Arc technique
2. Modulation
3. Gating
4. Shunting

Correct answer: 3. Gating

Explanation: Ans. Gating